Most accurate assessment of gestational age by USG is done by –
1. Femur length
2. Gestational sac size
3. Menstrual history
4. Crown rump length

Correct answer: 4. Crown rump length